True for hypervitaminosis A EXCEPT:
1. Dermatitis
2. Alopecia
3. Growth arrest
4. Decreased intracranial tension

Correct answer: 4. Decreased intracranial tension

Explanation: Ans: D i.e. Decreased intracranial tension Effects of hypervitaminosis A Angular cheilitis Birth defects Coarse bone growths Excessive skin dryness/peeling (desquamation) Hair loss Intracranial hypertension Premature epiphyseal closure Osteoporsis Skin discoloration